Hyperphosphatemia is seen in
1. CRF
2. Rickets
3. Prolonged phosphate intake
4. Osteitis fibrosa cystica

Correct answer: 1. CRF

Explanation: Hyperphosphatemia in chronic kidney disease (CKD) patients is a potentially life altering condition that can lead to cardiovascular calcification, metabolic bone disease (renal osteodystrophy) and the development of secondary hyperparathyroidism (SHPT). Ref Davidson 23rd edition pg 344